Which of the following decreases defibrillation threshold:-
1. Amiodarone
2. Verapamil
3. Sotalol
4. Diltiazim

Correct answer: 3. Sotalol

Explanation: Defibrillation threshold is minimum amount of electric current required ventricular fibrillation. DEFIBRILLATION THRESHOLD INCREASE Amiodarone Atropine Diltiazem Verapamil DECREASES Sotalol So 3rd option is the answer.